The double bond in cholesterol structure is found in
1. Ring D
2. Ring C
3. Ring B
4. Ring A

Correct answer: 3. Ring B

Explanation: structure of cholesterol Cholesterol is a 27-carbon compound containing a steroid nucleus, which resembles a phenanthrene ring (rings A, B, C) to which a cyclopentane ring (ring D) is attached Methyl groups are attached at carbons 10 and 13. A side chain is attached at carbon-17. A hydroxyl group is attached at carbon-3. Double bond is present in Ring B. Reference: Harper's Illustrated Biochemistry 30th Edition Pg 219